Dupuytren's contracture can be caused by -
1. Eptoin
2. Alcoholism
3. Diabetes
4. All of the above

Correct answer: 4. All of the above

Explanation: Causes of Dupuytren's contracture Exact cause is not known but may be due to *Heredity *Trauma of chronic repetitive in nature *Occupational, seen in people employed In rock drilling due to the vibrations of the machine *Males-10 times more common *Whites are affected more than blacks *Frequent and severe In epileptics and alcoholics (42%) *onset is usually less than 40 years of age Reference -TB of ohopaedics-Ebnezar-3rd edn-pg no 357